All are true about autoimmune disease except:
1. T cells recognize self - antigen
2. Hashimoto's thyroiditis is an example
3. Higher incidenc' among males
4. Polyclonal B cell activation

Correct answer: 3. Higher incidenc' among males

Explanation: Ans. is 'c' i.e., Higher incidence among males(Ref: Ananthanarayan, 9th/e, p. 178 - 182 and 8th/e, p. 171 - 175; Harrison, 17th/e, p. 2071 - 74)* Autoimmune diseases are syndromes caused by activation of T and B cells or both. Costimulatory molecules such as B7 - 1 or B7 - 2 are involved in autoimmunity. Higher incidence is seen in females.